Stony dull note on percussion is characteristic of
1. Pleural effusion
2. Consolidation
3. Pleurisy
4. Tuberculosis cavity

Correct answer: 1. Pleural effusion

Explanation: Pleural Effusion - Percussion findings Stony dullness with increased resistance and no shifting dullness below the level of fluid.Skodaic resonance (boxy note) just above the effusionObliteration of Traube's space in left side effusionGrocco's triangle: Triangular area of dullness against vertebral column, at the base of opposite lung, due to collapse' of lungEllis'S' shaped curve(Refer: Harrison's Principles of Internal Medicine, 18th edition, pg no: 2178-2180)